A completely charred body was brought for autopsy. You are examining the skull and cranial cavity. You find that there is a collection of blood in the epidural space. The presence of which of the following suggest the possibility of hematoma due to trauma:
1. Carboxy hemoglobin in the hematoma
2. Dark brown friable clot
3. Radiating Fracture lines over the skull
4. Diffuse Hematoma

Correct answer: 3. Radiating Fracture lines over the skull

Explanation: Epidural hematoma (EDH) due to burns and blunt force (trauma) EDH due to trauma EDH due to burns( Heat hematoma) Cause Blunt force to the head Charring of the skull due to intense heat Situation adjacent to Sylvian fissure Anywhere Position unilateral Usually bilateral Characteristics Disc shaped,smooth,uniform, rubbery,reddish-purple in colour honeycomb appearance; granular, friable clot; chocolate brown in color Skull fracture Fracture line radiating from a skull defect present in temporal area circular defect without radiating fracture lines, seen above the temple Crossing of suture lines Hematoma do not cross sutures It may cross suture lines